Alpha methyldopa primarily used for
1. Pregnancy induced hypertension
2. Renovascular hypertension
3. First line agent in hypertension
4. Refractory hypertension

Correct answer: 1. Pregnancy induced hypertension

Explanation: Methyldopa was primarily used in the past but is now used widely for pregnancy induced hypertension. Refer katzung 11e p173